A 15-year-aged boy presents with unilateral nasal blockade mass in the cheek and epistaxis; likely diagnosis is:
1. Nasopharyngeal Ca
2. Angiofibroma
3. Inverted papilloma
4. None of the above

Correct answer: 2. Angiofibroma

Explanation: This is Typical Presentation of Nasopharyngeal Fibroma/Angiofibroma Nasopharyngeal fibroma is most common benign tumor of nasopharynx. Most common site is posterior part of nasal cavity close to the margin of sphenopalatine foramen. Sex : Seen almost exclusively in males (testosterone dependent). Age : 10-20 years (2nd decade). Clinical features: - Most common symptom is profuse and recurrent epistaxis Progressive nasal obstruction Denasal speech Conductive hearing loss and serous otitis media Mass in nasopharynx Broadening of nasal bridge Proptosis Frog-face deformity Swelling of cheek Involvement of cranial nerves II, Ill, IV, VI